Silicosis caused by-
1. Gold
2. Coal
3. CO
4. Silica

Correct answer: 4. Silica

Explanation: Ans. is 'd' i.e.. Silica o Byssinosis is due to exposure to cotton dust in textile industries.AnthracosisSilicosisSiderosisByssinosisFarmer's lungSequousisSuberosisDetergent worker's lungBaggassosisCoal dustSilicaIronCotton dustHay or grain dustMoldy red wood saw dustMoldy cork dustEnzyme additivesSugarcane dust